Eight year girl presented by her mother with sexual precocity. She may have the following disorder:
1. Hyperthyroidism
2. Addison's disease
3. McCune Albright syndrome
4. Neuroblastoma

Correct answer: 3. McCune Albright syndrome

Explanation: McCune-Albright syndrome (MAS) is classically manifested as a triad of irregular cafe au lait spots, fibrous dysplasia of long bones with cysts, and precocious puberty (sexual precocity). This is a sporadic disorder caused by somatic (postzygotic) activating mutations in the GSalpha subunit that links G protein-coupled receptors to intracellular signaling pathways. Precocious puberty may be central or incomplete. Other clinical manifestations include, Hyperthyroidism Adrenal nodules with Cushing syndrome Acromegaly Hyperprolactinemia Hyperparathyroidism Hypophosphatemic hyperphosphaturic rickets Autonomous endogenous-functioning ovarian cysts (in girls) Must know: Causes of Precocious Pubertal Development: Central (GnRH-dependent) precocious puberty: Idiopathic Central nervous system abnormalities Acquired--abscess, chemotherapy, radiation, surgical trauma Congenital--arachnoid cyst, hydrocephalus, hypothalamic hamartoma, septo-optic dysplasia, suprasellar cyst Tumors--astrocytoma, craniopharyngioma, glioma Peripheral (GnRH-independent) precocious puberty: Congenital adrenal hyperplasia Adrenal tumors McCune-Albright syndrome Familial male-limited gonadotropin independent precocious puberty Gonadal tumors Exogenous estrogen--oral (contraceptive pills) or topical Ovarian cysts (females) HCG-secreting tumors (eg, hepatoblastomas, choriocarcinomas) (males) Ref: Styne D. (2011). Chapter 15. Puberty. In D.G. Gardner, D. Shoback (Eds), Greenspan's Basic & Clinical Endocrinology, 9e.